Total fluid secreted by salivary gland, stomach, pancrease and itestine in a day -
1. 2000ml
2. 4000ml
3. 6500 ml
4. 10000 ml

Correct answer: 3. 6500 ml

Explanation: Ans. is 'c' i.e., 6500 ml Daily water turnover (mL) in the gastrointestinal tractIngested 2000Endogenous secretions 7000Salivary glands1500 Stomach2500 Bile500 Pancreas1500 Intestine+ 1000 7000 Total input 9000Reabsorbed 8800Jejunum5500 Ileum2000 Colon+ 1300 8800 Balance in stool 200